All of the following are seen in multiple myeloma except:
1. Visual Disturbance
2. Proteinuria
3. Bleeding tendency
4. Dystrophic calcification

Correct answer: 4. Dystrophic calcification

Explanation: Answer is D (Dystrophic calcification) Multiple myeloma may be associated with metastatic calcification (not dystrophic calcification). Multiple myeloma is associated with hypercalcemia and as a result metastatic calcification may occur. Dystrophic calcification is not a feature.